A female who underwent laproscopic appendicectomy for acute appendicitis, on post op. day 2 bumped her nose on to a table. She developed difficulty in breathing and examination showed a swelling in the anterior part of the nasal septum. Next line of management is -
1. Incision and drainage
2. Oral antibiotics for 7-10 days
3. Observation
4. IV antibiotics

Correct answer: 1. Incision and drainage